Within 48 hours of transplantation, skin graft survives due to:
1. Amount of saline in graft
2. Plasma imbibitions
3. Inosculation
4. Revascularisation

Correct answer: 2. Plasma imbibitions

Explanation: Graft survives upto first 48hrs because of plasma imbibition. Involves free absorption of nutrients into the graft. Inosculation is completed by 4-5 days Revascularization occurs after 5 days